False about quinidine in is
1. It increases effective refractory period
2. Used in hypertension
3. Causes paradoxical tachycardia
4. Cinchonism is seen

Correct answer: 2. Used in hypertension

Explanation: Refer kDT 6/e p 511,512 Quinidine has following properties; Class 1a and 3 antiarrhythmic properties Increase the effective refractory period Anti vagal action causes tachycardia. This tachycardia is paradoxical, because quinidine is a cardiac depressant and does not expected to increase the heart rate some Alpha blocking property is and its use can cause hypotension and is not used for antihypertensive agent. At higher doses, Cinchonism occurs, characterized by ringing in ear, vertigo, headache and visual disturbances ,mental changes and delirium Antimalarial action is Poorer than quinine. ECG changes:increase PR and QT interval, and broadens QRS complex, and change the shape of T wave